The commonest pathogen responsible for acute pyelonephritis in pregnancy is:
1. Escherichia coli
2. Klebsiella pneumoniae
3. Proteus mirabilis
4. Pseudomonas aeruginosa

Correct answer: 1. Escherichia coli

Explanation: E. coli is the common bacteria responsible for acute pyelonephritis in pregnancy It also causes asymptomatic bacteriuria. Urinary tract infection in pregnancy is a risk factor for threatened abortion, chorioamnionitis, preterm labor, IUGR.